Autoclave works at which of these settings?
1. 160 degree C, 20 psi, 15 min
2. 121 degree C, 15 psi, 15 min
3. 120 degree C, 15 psi, 10 min
4. 121 degree C, 15 psi, 15 sec

Correct answer: 2. 121 degree C, 15 psi, 15 min